Graft survives for the first 48 hours because of
1. Absorption of nutrients into the graft
2. Alignment of donor and recipient capillaries
3. Vascularization of the graft
4. Growth of lymphatics into the graft

Correct answer: 1. Absorption of nutrients into the graft

Explanation: Graft survives upto first 48 hours because of plasma imbibition.